Annerix V on non permeable cell is indicative of
1. Apoptosis
2. Necrosis
3. Cell entering replication phase
4. Cell cycle arrest

Correct answer: 1. Apoptosis

Explanation: Ref, Robbins 8/ep27,9/ep56 Apoptotic cells express phosphatidylserine in the outer layers of their plasma membrane.This phospholipids move out from the inner layer where it is recognised by number of receptors on the phagocytes.